Shortest and narrowest part of fallopian tube:
1. Interstitial
2. Isthmus
3. Ampulla
4. Infundibulum

Correct answer: 1. Interstitial

Explanation: Parts of the fallopian tube Interstitial part: shortest, internal diameter 1mm (narrowest) Isthmus:35 mm long, lumen diameter 2-3 mm Ampulla: 60-75 mm long, widest . Fertilisation takes place here Infundibulum: where abdominal ostium opens into the peritoneal cavity